Na+ K+ pump which enzyme is used
1. ATPase
2. GTpase
3. Acetyl CoA
4. NADPH

Correct answer: 1. ATPase

Explanation: Ans. (a) ATPaseIn primary active transport, the energy is derived directly from breakdown of ATPOne of these ATPases is sodium-potassium adenosine triphosphatase (Na, K ATPase), which is also known as the Na, K pump